A young woman complains of recurrent rhinitis, nasal discharge and bilateral nasal blockage since one year. She also had history of allergy and asthma. On examination, multiple polyps with mucosal thickening and impacted secretions are seen in nasal, cavities. Biopsy was taken and the material on culture showed many hyphae with dichotomous branching typically at 45 degree. Which of the following is most likely organism responsible?
1. Rhizopus
2. Aspergilus
3. Mucor
4. Candida

Correct answer: 2. Aspergilus

Explanation: Patient is suffering from allergic fungal sinusitis caused by aspergillus. Septate hyphae which show dichotonomous branching at 45 degree are characteristics of aspergillus. Allergic fungal sinusitis patients suffer from chronic sinusitis, nasal polyp, asthma and atopy. Ref: Textbook of Microbiology and Immunology By Parija, Page 640; Aspergillus Fumigatus and Aspergillosis By Jean-Paul Latge, William J. Steinbach, Page 302; Harrison's Principles of Internal Medicine, 17th Edition, Page 1259.